Largest fraction of CO2 is present in blood as
1. Attached with RBC
2. Dissolved in blood
3. Wth Hb as carbaminohemoglobin
4. Bicarbonate

Correct answer: 4. Bicarbonate